A patient is diagnosed with malaria had fever periodicity of 72 hours. Organism implicated is
1. P.falciparum
2. P.vivax
3. P.ovale
4. P.malariae

Correct answer: 4. P.malariae

Explanation: An attack usually starts with shivering and chills, followed by a high fever, followed by sweating and a return to normal temperature. Ref ananthnarayana and panikers microbiology textbook 8/e